All of the following are true about CRASH-2 trial except:
1. Dose of tranexamic acid is 1 gm IV over 10 minutes followed by 1 gm over 8 hours
2. Given to all trauma patients suspected to have significant hemorrhage including SBP <110 mm Hg or PR >110/min
3. Should be administered within 3 hours of injury
4. Tranexamic acid reduces the risk of mortality from bleeding in blunt trauma but not in penetrating trauma

Correct answer: 4. Tranexamic acid reduces the risk of mortality from bleeding in blunt trauma but not in penetrating trauma

Explanation: CRASH-2 TRIAL* Recommends use of Tranexamic acid in hypotensive trauma patients* 1 gm I/V over 10 minutes followed by 1 gm over 8 hours* Advantages- Reduces the risk of mortality from bleeding in both blunt & penetrating trauma* Indications for Tranexamic acid- All trauma patients suspected to have significant hemorrhage including SBP < 110 mmHg or PR > 110/min- Administrated within 3 hours of injury